TNM staging does not include which of the following:
1. Tumour size
2. Tumour site
3. Nodal involvement
4. Metastasis

Correct answer: 2. Tumour site